Not a function of Female health worker posted at sub center level:-
1. Condom distribution
2. Malaria surveillance
3. Conduct urine examination
4. Birth and death record keeping

Correct answer: 2. Malaria surveillance

Explanation: Malaria surveillance work is given to Male health workers(MHW) Female health workers(FHW) provide maternal and child health services Female health worker Male health worker Record keeping Contraceptive distribution, Immunization, Delivery conducting, supporting Dais Family planning message spread, Hb estimation, urine examination Participating and co-coordinating community health programme Record keeping Malaria surveillance ORS distribution Chlorination Immunisation Family planning Identifying and referring communicable diseases